Which of the following does not take part in formation of roof of the Orbit?
1. Orbital Plate
2. Frontal Bone
3. Greater wing of sphenoid
4. Lesser wing of Sphenoid

Correct answer: 3. Greater wing of sphenoid

Explanation: WALLS



Floor (inferior wall)
Orbital surface of maxillary, zygomatic, palatine bone.


Medial wall
Frontal process of maxilla, lacrimal bone, orbital plate of ethmoid.


Lateral wall
Orbital process of zygomatic and the orbital plate of greater wing of sphenoid.


Roof (superior wall)
Orbital plate, frontal bone and the lesser wing of sphenoid.